Which antibodies in mother with SLE is responsible for congenital heart disease in child-
1. Anti-histone
2. Anti-Ro & Anti-LA
3. Anti ds DNA
4. Anti-centromere

Correct answer: 2. Anti-Ro & Anti-LA

Explanation: Most sensitive → Antinuclear antibody (ANA)
Most specific → Anti-double stranded antibody and the antibody against Smith (Sm)
Associated with neonatal lupus and congenital heart block → Anti Ro, Anti LA antibody
Associated with lupus psychosis → Anti P antibody